A 23-year-old woman develops vesicular lesions on an erythematous base on her vulvar area. She has tender lymphadenopathy and dysuria as well. Which of the following is the most likely causative organism?
1. cytomegalovirus (CMV)
2. gonococcus
3. herpes simplex virus type 2 (HSV-2)
4. Treponema pallidum

Correct answer: 3. herpes simplex virus type 2 (HSV-2)

Explanation: HSV-2 genital infections may be associated with fever, malaise, and anorexia. Vesicular lesions usually ulcerate rapidly and become covered with exudate. There is a 90% chance of recurrent symptoms in the first year following a primary infection. HSV-1 genital infections are similar, but the chance of recurrence is less.